Most common cause of cell Injury at level of cells?
1. Hypoxia
2. Ischemia
3. CO poisoning
4. Anemia

Correct answer: 1. Hypoxia

Explanation: Hypoxia Deficiency of oxygen,which causes cell injury by reducing aerobic oxidative respiration Extremely important and most common cause of cell injury and cell death. Causes:- Reduced blood flow (ischemia) Cardiorespiratory failure Anemia or carbon monoxide poisoning or after severe blood loss (Decreased oxygen-carrying capacity of the blood). Depending on the severity of the hypoxic state, cells may adapt, undergo injury, or die.